Which of the following is not associated with Diabetes mellitus?
1. Cushing's syndrome
2. Acromegaly
3. Hypothyroidism
4. Pheochromocytoma

Correct answer: 3. Hypothyroidism

Explanation: ANSWER: (C) HypothyroidismREF: Harrison's 18th ed ch: 344Endocrinopathies associated with Diabetes are:AcromegalyCushings syndromeGlucagonomaPheochromocytomaHyperthyroidismSomatostatinomaAldosteronoma